Most prominent and larger air cell of ethmoidal sinus?
1. Agger nasi cell
2. Haller cell
3. Onodi cell
4. Bulla ethmoidalis

Correct answer: 4. Bulla ethmoidalis

Explanation: Bulla Ethmoidalis: Most prominent and the largest anterior ethmoidal cell. It is located posterior to the frontal recess and enclosed laterally by the lamina papyracea. It forms the roof of the middle meatus. Agger Nasi: most anterior ethmoidal cell. Haller cell: infra orbital ethmoidal cell. Onodi cell: laterally placed posterior most ethmoidal cell.